'Carman meniscus sign' in barium meal is pathognomic of:
1. Malignant gastric ulcer
2. Lipoma stomach
3. Gastric polyposis
4. Lymphoma

Correct answer: 1. Malignant gastric ulcer

Explanation: Ans. A i.e. Malignant gastric ulcer